ORF stands for:
1. Open reading frame
2. Oncogene removing frequency
3. Oil related fraction
4. Open reduction fracture

Correct answer: 1. Open reading frame